Organism responsible for gas gangrene is/are:
1. Clostridium perfringens
2. Clostridium septicum
3. Clostridium histolyticum
4. All of the above

Correct answer: 4. All of the above

Explanation: Clostridium perfringes is the main organism but other than this Clostridium oedematiens, Cl.septicum, Cl.histolyticum, Cl.bifermentans.